A 13 years old female attends hematology clinic for follow-up of a coagulation defect in extrinsic pathway. The coagulation factor that is defective is
1. VII
2. VIII
3. IX
4. XI

Correct answer: 1. VII

Explanation: . VII